Listeria culture media:
1. Baker
2. Kohoff
3. Tinsdale
4. Blood agar

Correct answer: 4. Blood agar

Explanation: Ans. (d) Blood agar